Which of the following is an indication of use of tissue conditioners
1. Conditioning of abused tissues
2. Impression making
3. Surgical stent stabilizer
4. All of the above

Correct answer: 4. All of the above

Explanation: All of the above are indications of use of tissue conditioners.